Transient bells palsy during mandibular nerve block after injection of local anesthesia occurs due to needle piercing into
1. Maxillary artery
2. Buccinator muscle
3. Temporalis muscle
4. Parotid gland

Correct answer: 4. Parotid gland